Plasma alkaline phosphatase is highest in -
1. Biliary cirrhosis
2. Alcoholic cirrhois
3. Postnecrotic cirrhosis
4. Cardiac cirrosis

Correct answer: 1. Biliary cirrhosis